Axial proptosis is associated with
1. Optic glioma
2. Dermoid cyst
3. Lacrimal gland tumors
4. Maxillary tumors

Correct answer: 1. Optic glioma

Explanation: Ans. (a) Optic gliomaRef Kanski 7/e, chapter 3, Jakabisc 3/e, p. 2886* Space-occupying lesions within the muscle cone, such as cavernous haemangiomas and optic nerve tumours cause axial proptosis.